DOC for herpes zoster is –
1. Vidarabine
2. Acyclovir
3. Idoxuridine
4. Aclidine

Correct answer: 2. Acyclovir

Explanation: For typical cases of herpes zoster, oral acyclovir is used. Oral famciclovir or valaciclovir have advantage of a more convenient dosing.